Which of the following statements is/are false about lathyrism -
1. Vitamin C prophylaxis
2. Banning of crop
3. Flaccid paralysis
4. Parboiling detoxicates pulses

Correct answer: 3. Flaccid paralysis

Explanation: Neurolathyrism causes spastic paralysis of lower limbsREF.PARK'S TEXTBOOK OF PREVENTIVE AND SOCIAL MEDICINE.Editon-21.Page no.-596